Maximum cones are seen in
1. Limbus
2. Fovea centralis
3. Macula lutea
4. Blind spot

Correct answer: 2. Fovea centralis

Explanation: Optic disc, 1.5 mm in size, is responsible for blind spot of Mariotte Rods and cones are sensory end organs of vision Rods are absent in the foveal region. Ganglion cell layer is thickest in the macular region. Foveola is the most sensitive part of retina. It contains only cones and their nuclei covered by a thin internal limiting membrane. There are 3 types of cones Red (maximum number) 65% Green Blue (least number) Cones are packed and tight mosaic hexagonal cells Visual acuity depends upon the density of cone mosaic